Single base pair substitution is related to which of the following?
1. RFLP
2. PCR
3. FISH
4. Southern blot

Correct answer: 1. RFLP

Explanation: The term RFLP (Restriction Fragment Length Polymorphisms) refers to single base pair substitutions in germ line DNA of different individuals that either destroys or creates new recognition site for a given restriction enzyme. PCR is used to amplify a specific region of a DNA strand (the DNA target). FISH is atechnique used to identify the presence of specific chromosomes or chromosomal regions through hybridization (attachment) of fluorescently-labeled DNA probes to denatured chromosomal DNA. Southern blotting combines transfer of electrophoresis-separated DNA fragments to a filter membrane and subsequent fragment detection by probe hybridization.